Action of Papain on an IgG molecule produces?
1. 2 Fc fragments & 1 Fab fragment
2. 1 Fc fragment & 2 Fab fragments
3. 2 Fc fragments & 2 Fab fragments
4. 1 Fc fragment & 1 Fab fragment

Correct answer: 2. 1 Fc fragment & 2 Fab fragments

Explanation: 1 Fc fragment & 2 Fab fragments REF: Jawetz, Melnick, & Adelberg's Medical Microbiology, 24TH edition Chapter 44 If an antibody molecule is treated with a proteolytic enzyme (eg, Papain), peptide bonds in the hinge region are broken. This breakage produces two identical Fab fragments, which carry the antigen-binding sites, and one Fc fragment, which is involved in placental transfer, complement fixation, attachment for various cells, and other biologic activities.